Which of the following synthetic sterioid shows predominantly mineralocorticoid action?
1. Hydrocortisone
2. Spironolactone
3. Dexamethsone
4. Fludrocortisone

Correct answer: 4. Fludrocortisone